The best site to obtain a swab in acute symptomatic gonorrhea is:
1. Endocervix
2. Exudate after prostatic massage
3. Lateral vaginal wall
4. Posterior fornix

Correct answer: 1. Endocervix

Explanation: The best site to obtain a swab in acute symptomatic gonorrhea is Endocervix Diagnosis of Gonococcal infection: Acute Gonorrhea: Chronic Gonorrhea: a) Endocervical Culture - 80-90% sensitivity b) Urethral Discharge - 50% Sensitivity c) Rectal swab a) Morning drop secretion b) Exudate after prostatic massage c) Centrifuged deposit of urine when no urethral discharge - For DGI (Disseminated gonococcal infection): Blood culture and synovial fluid culture - Transport media: Charcoal impregnated swabs/medium (Stuart/Amies media) For longer holding period: CO2 generating system - Gram staining of Cervical swab: N. gonorrhoeae - Kidney shaped, Non-capsulated.